Maximum oral bioavailability among statins is of which drug -
1. Fluvastatin
2. Atorvastatin
3. Pravastatin
4. Simvastatin

Correct answer: 1. Fluvastatin

Explanation: Ans. is 'a' i.e., Fluvastatino All statins can be absorbed orally (maximum fluvastatin). Food increases absorption of all drugs except pravastatin. Lovastatin and simvastatin undergo extensive first pass metabolism and are administered as prodrugs.Remembero Statins are the most effective and best tolerated hypolipidemic drugs,o All Statins, except rosuvastatin and pravastatin are metabolized.o Food increases absorption of all statins except pravastatin.o Lovastatin and simvastatin are prodrugs, while pravastatin, fluvastatin, ator\>astatin and rosuvastatin are administered in active form.o Rosuvastatin is the longest acting and most potent statin,o Rosuvastatin causes greater rise in HDL - cholesterol than other statins,o Pravastatin decreases plasma fibrinogen level,o Atorvastatin has additional antioxidant property.o Because HMG-CoA reductase activity is maximum at midnight, all statins are administered at bed time to obtain maximum effectiveness. However, this is not necessary? for atorvastatin and rosuvastatin, which have long plasma t 1/2 .o Statins also have pleotropic effects (antioxidant, antiinflammatory and antiproliferative properties) which are responsible for lowering the risk of athrosclerosis.o Statins are the first choice drugs for primary hyperlipidemias with raised LDL and total CH (Type IIa, lIb, V) as well as for secondary hypercholesterolaemia.